Claw like hands can be seen in all except:
1. Leprosy
2. Scleroderma
3. Hurler syndrome
4. Ehlers Danlos syndrome

Correct answer: 4. Ehlers Danlos syndrome

Explanation: Claw like hands are seen in leprosy, scleroderma, hurler syndrome.